Viral hemorragic fever caused by all except -
1. Arenaviridae
2. Marburg
3. Calciridae
4. Ebolavirus

Correct answer: 3. Calciridae

Explanation: viral hemirrhagic fever caused by 2 families-Arenavirus and Filovirus.Filovirus invludes marburg anf ebola virus. REF:ANANTHANARAYAN AND PANIKER'S TEXTBOOK OF MICROBIOLOGY 9TH EDITION PAGE NO:558